Nerve supply to the perineum is -
1. Pudendal nerve
2. Inferior rectal nerve
3. Pelvic splanchnic nerves
4. Hypogastric plexus

Correct answer: 1. Pudendal nerve

Explanation: Ans. is 'a' i.e., Pudendal nerve o Pudendal nerve arises from S2S3S4 and is a mixed nerve (motor + sensory).o It enters the gluteal region through greater sciatic notch and leaves it through lesser sciatic notch to enter pudendal canal.o Pudendal nerve is the chief nerve of perineum and external genitalia.